Vegetable fat differs from animal oil in being -
1. More saturated
2. More stable
3. More atherosclerotic
4. Contains less fat soluble vitamin

Correct answer: 4. Contains less fat soluble vitamin

Explanation: Vegetable oil has less fat soluble vitamin. REF. PARK'S TEXTBOOK OF PREVENTIVE AND SOCIAL MEDICINE 21ST EDITION. PAGE NO - 612